True about nutritional rickets -a) Craniotabesb) Multiple #c) Widening of wristd) ↓ Phosphate in serume) Growth retardation
1. acde
2. bde
3. abcd
4. abde

Correct answer: 1. acde

Explanation: Craniotabes, widening of wrist and growth retardation occur in rickets.
Serum phosphate is low.